True about therapy of obesity is:
1. Bariatric surgery is indicated for BMI > 30 kg/m2
2. Adjuvant pharmacotherapy for BMI > 30 kg/m2
3. Lifestyle modification not required
4. Reducing appetite by centrally active drugs is not an option

Correct answer: 2. Adjuvant pharmacotherapy for BMI > 30 kg/m2